Which of the following is present in the peritoneal reflection which forms one of the borders of the paraduodenal fossa?
1. Middle colic vein
2. Left colic vein
3. Splenic vein
4. Inferior mesenteric vein

Correct answer: 4. Inferior mesenteric vein

Explanation: D i.e., Inferior mesenteric vein